Structure crossing dorsal surface of ischial spine are A/E :
1. Internal pudendal vessel
2. Pudendal nerve
3. Obturator nerve
4. Nerve to obturator internus

Correct answer: 3. Obturator nerve

Explanation: C. i.e. Obturator nervePsoas major, iliacus & pectineus muscles, femoral vessels and nerve, femoral branch of genitofemoral nerve, lateral cutaneous nerve of thigh and lymphatics pass below inguinal ligament.'PIN' structures i.e. Pudendal nerve, Internal Pudendal vessels, Nerve to obturator internus come out of greater sciatic foramen, cross the dorsal surface of ischial spine & enter into lesser sciatic foramen.